Acute pancreatitis is caused bya) Gallstonesb) Alcoholc) Starvationd) Hypercalcemiae) Hypertriglyceridemia
1. abcd
2. abde
3. acde
4. ade

Correct answer: 2. abde

Explanation: Causes of Acute Pancreatitis
Common Causes

Gallstones (including microlithiasis) - most common
Alcohol (acute and chronic alcoholism) - IInd most common
Hypertriglyceridernia
Endoscopic retrograde cholangiopancreatography (ERCP), especially after biliary manometry
Trauma (especially blunt abdominal trauma)
Postoperative (abdominal and nonabdominal operations)
Drugs (L-asparginase, thiazide diuretics, frusomide, estrogens, azathioprime, 6-mercaptopurine, methyldopa, sulfonamides, tetracyclin, valproic acid, anti-HIV medications).
Sphincter of Oddi dysfunction

Uncommon causes

Vascular causes and vasculitis (ischemic-hypoperfusion states after cardiac surgery)
Connective tissue disorders and thrombotic thrombocytopenic purpura (TTP)
Cancer of the pancreas
Hypercalcemia
Periampullary diverticulum
Pancreas divisum
Hereditary pancreatitis
Cystic fibrosis
Renal failure

Rare causes
Infections (mumps, coxsackievirus, cytomegalovirus, echovirus, parasites)
Autoimmune (e.g., Sjogren's syndrome)
Causes to consider in patients with recurrent bouts of acute pancreatitis without an obvious etiology

Occult disease of the biliary tree or pancreatic ducts, especially microlithiasis, sludge
Drugs
Hypertriglyceridemia
Pancreas divisum
Pancreatic cancer
Sphincter of Oddi dysfunction
Cystic fibrosis
Idiopathic